Internal resorption is characterised by
1. Pain on percussion
2. Slow dull continuous pain
3. No characteristic feature, symptom free
4. Increased pulpal pain when lying down

Correct answer: 3. No characteristic feature, symptom free